In which of the following, man is not the primary host
1. Guinea worm
2. Filaria
3. Sleeping sickness
4. Malaria

Correct answer: 4. Malaria